A patient Parul gives you the history that she has missed a single dose of her combined oral contraceptive pill. Which of the following will you advise her ?
1. Continue with the course without regard to the missed dose
2. Take 2 pills the next day and continue with the course
3. Take 2 pills everyday for the remaining part of the course
4. Discontinue the course and use alternative method of contraception

Correct answer: 2. Take 2 pills the next day and continue with the course